AMPLE history involved all except?
1. Pregnancy
2. Allergy
3. Last meal
4. Personal history

Correct answer: 4. Personal history

Explanation: History:
AMPLE History

Allergies
Medications
Past Medical History, Pregnancy
Last Meal
Events surrounding injury, Environment

History may need to be gathered from family members or ambulance service.